After doing a graft repair 'of a thoracoabdominal aneurysm, the patient developed weaknesss in both legs. Most probable cause for this is:
1. Decreased blood supply to the lower limbs
2. Thoracosplanchnic injury
3. Discontinuation of arteria radicularis magna
4. Lumbosacral nerve injury

Correct answer: 3. Discontinuation of arteria radicularis magna